What is incidence of malignant hyperthermia in pediatric patients-
1. 1 in 15000
2. 1 in 20000
3. 1 in 25000
4. 1 in 35000

Correct answer: 1. 1 in 15000

Explanation: In pediatric incidence - 1 in 15000 in adult incidence 1 in 45000